Protozoa associated with megaesophagus -
1. Trypanosome
2. Ameba
3. Giardia
4. Gnathostoma

Correct answer: 1. Trypanosome

Explanation: Trypanosomes haemoflagellates Live in the blood tissue of their host Produce disease in animals and humans (refer pg no:44 baveja 3 rd edition)